Which of the following drugs has been used in the treatment of angina by inhalation and has a very rapid onset and brief duration of action ?
1. Amyl nitrite
2. Isosorbide mononitrate
3. Nitroglycerine
4. Propranolol

Correct answer: 1. Amyl nitrite